Bagassosis occurs with:
1. Cotton
2. Sugarcane fibres
3. Carbon particles
4. Silica fibres

Correct answer: 2. Sugarcane fibres

Explanation: Sugarcane fibres